Neonatal Jaundice first time appears in the 3rd week not a cause is -
1. Galactossemia
2. Rh Incompatibility
3. Hypothyroidism
4. Breast milk Jaundice

Correct answer: 2. Rh Incompatibility

Explanation: Ans. is 'b' i.e., Rh incompatibility